Single massive does of vitamin A for preventing the deficiency in preschool children between the age of 1-6 years for every 6 months is
1. 2,000 IU
2. 20,000 IU
3. 2,00,000 IU
4. 20,00,000 IU

Correct answer: 3. 2,00,000 IU

Explanation: Ans. c (2, 00,000 IU) (Ref. Park PSM 22nd/ 571)Rx of VITAMIN A DEFICIENCY# Since vitamin A can be stored in the body for 6-9 months and liberated slowly, a short-term, simple technology had been evolved by National institute of Nutrition, Hyderabad, for community-based intervention against the nutritional blindness, which has subsequently been adopted by other counties.# The strategy is to administer a single massive dose of 2,00,000 IU of vitamin A in oil (retinol palmitate) orally every 6 months to preschool children (1-6 years old) and half that dose (1,00,000 IU) to children between 6 months and one year of age.